Antihypertensive of choice in a patient of diabetes mellitus with proteinuria is:
1. Enalapril
2. Propranolol
3. Hydralazine
4. Minoxidil

Correct answer: 1. Enalapril